External laryngeal nerve supplies which muscle?
1. Cricothyroid
2. Thyroarytenoid
3. Cricoarytenoid
4. Vocalis

Correct answer: 1. Cricothyroid

Explanation: ANSWER: (A) Cricothyroid REF: Dhingra's 4" ed p. 318* Superior laryngeal nerve: arises from the inferior ganglion of the vagus* Divides into external and internal branches.* External laryngeal nerve supplies cricothyroid* Internal laryngeal nerve pierces the thyrohyoid membrane and gives sensory supply to larynx and hypopharynx.